Common age for otosclerosis is
1. 5-10 years
2. 10-20 years
3. 20-30 years
4. 30-45 years

Correct answer: 3. 20-30 years

Explanation: Hearing loss usually starts between 20 to 30 years of age and is rare before 10 and after 40 years. (Ref: Textbook of diseases of ENT, PL Dhingra, 7th edition, pg no. 95)